Deep injury of neck always involves
1. Platysma
2. Trapezius
3. Sternocleidomastoid
4. Longus colli

Correct answer: 1. Platysma

Explanation: Investing layer lies deep to the platysma and surrounds the neck like a collar. The surgeon has to stitch platysma muscle separately so that skin does not adhere to deeper neck muscles otherwise the skin will get an ugly scar. Ref BDC volume 3;sixth edition pg 81